Which of the following is false regarding Wilms tumor?
1. May be associated with aniridia
2. Associated with beckwith-wiedemann syndrome
3. May be associated with deletion of WT1 or WT2 gene
4. Peak incidence is below the age of 1 year

Correct answer: 4. Peak incidence is below the age of 1 year

Explanation: Peak incidence is between 1-5 years. It usually persents as an asymptomatic flank or upper abdominal mass. Ref: Schwartz - Principles of Surgery, 7th Edition, Page 551.